Behaviour therapy is useful in:
1. Panic attack
2. OCD
3. Personality disorder
4. All

Correct answer: 4. All

Explanation: A. i.e. Panic attack B. i.e. OCD; C. i.e. Personality disorder